According to Melcher concept, the regeneration of new attachment is from
1. periodontal ligament
2. gingival connective tissue
3. alveolar bone
4. junctional epithelium

Correct answer: 1. periodontal ligament